Dislocation of the lens is seen in all the following conditions except
1. Congential Rubella
2. Marchesani Syndrome
3. Marfan Syndrome
4. Homocystimuria

Correct answer: 1. Congential Rubella

Explanation: Causes of ectopia lentis (dislocation or subluxation of the lens) 

Homocystinuria      
Marfan syndrome        
Weil-Marchesani syndrome         
Ehler Danlos syndrome        
Hyperlysinemia 
Sulphite oxidase deficiency
Stickler syndrome
Trauma
 Consecutive/spontaneous (Hypermature cataract, buphthalmos, high myopia)